Which of the following is the most dangerous variant of diphtheria
1. Facial
2. Nasal
3. Laryngeal
4. Cutaneous

Correct answer: 3. Laryngeal

Explanation: The most common complication of diphtheria is laryngeal diphtheria causes Asphyxia Asphyxia due to mechanical obstruction of the respiratory passage by the pseudomembrane, for which an emergency tracheostomy may be necessary. Ref: Textbook of microbiology; Ananthanarayan and paniker's; 10th Edition; Pg: 241